Gasless abdomen in X-ray is a sign of:-
1. Acute pancreatitis
2. Necrotizing enterocolitis
3. Chronic Pancreatitis
4. Intussusception

Correct answer: 1. Acute pancreatitis

Explanation: Radiological appearance Acute pancreatitis Chronic pancreatitis Ca pancreas Renal halo sign Gasless abdomen Ground glass appearance Colon cut off sign Sentinel loop Chain of lakes appearance String of pearl appearance Beaded appearance Numerous irregular calcification are pathognomonic Double contour of medical border of duodenal C loop Double duct sign Dilated / widening of duodenal C loop Mucosal irregularity Scrambled egg appearance Inverted / reverse 3 sign of frostberg; seen in Ca head of pancreas Rose thorning of medial wall of 2nd part of duodenum